Which is the most specific marker for GIST
1. CD 117
2. CD 34
3. DOG 1
4. PDGF alfa mutation

Correct answer: 3. DOG 1

Explanation: CD117 is also known as CKIT is present in 90% of cases